Length of Eustachian tube?
1. 12 mm
2. 24mm
3. 36mm
4. 48mm

Correct answer: 3. 36mm

Explanation: Length of Eustachian tube is 36 mm. (reached by the age of 7 years) Lateral third (i.e. 12 mm) is bony. Medial 2/3 (i.e. 24 mm) is fibrocartilaginous.